Ossification centre which appears first is?
1. Upper end of femur
2. Lower end of femur
3. Greater trochanter
4. Head

Correct answer: 2. Lower end of femur

Explanation: ANSWER: (B) Lower end of femurREF: Grays Anatomy 39th edpage 1437Femur ossifies from five centres: in the shaft, head, greater and lesser trochanters and the distal end. Other than the clavicle, it is the first long bone to ossify. The process starts in the midshaft in the seventh prenatal week and extends to produce a miniature shaft that is largely ossified at birth. Secondary centres appear in the distal end (from which the condyles and epicondyles are formed) during the ninth month, in the head during the first six months after birth, in the greater trochanter during the fourth year and in the lesser between the twelfth and fourteenth yearThe femur is ossified from five centers in the following order of appearanceShaft7th intrauterine monthLower end9th month of fetal lifeHeadDuring first 6 months after birthGreater trochanterDuring the fourth yearLesser trochanterbetween 12th and 14th years